In reye's syndrome hepatic change -
1. Microvesicular steatosis
2. Macrovesicular steatosis
3. Both
4. None

Correct answer: 1. Microvesicular steatosis

Explanation: causes for steatosis: alcoholic abuse,protein malnutrition, starvation, anoxia, toxins and reyes syndrome GENERAL AND SYSTEMIC PATHOLOGY RAMDAS NAYAK PG NO.19